ELISA is performed on a population with low prevalence, What would be the result of performing double screening ELISA tests-
1. Increased sensitivity and positive predictive value
2. Increased sensitivity and negative predictive value
3. Increased specificity and positive predictive value
4. Increased specificity and negative predictive value

Correct answer: 3. Increased specificity and positive predictive value

Explanation: Ref: Parks 23rd edition pg 139 Double ELISA meaning screening test is done in series. Series screening test : Sensitivity decreases Specificity increases PPV increases NPV decreases